Which of the following type of immunoglobulin is found in Peyer's patches?
1. IgM
2. IgG
3. IgA
4. IgD

Correct answer: 3. IgA

Explanation: Peyer's patches are dense collection of lymphoid cells found throughout the small intestine, but are more numerous in the ileum and appendix. The subepithelial area of the Peyer's patches contain dense collection of B and T lymphocytes. The germinal center consists of B lymphocytes and some dendritic macrophages. The interfollicular area consists of T lymphocytes and macrophages. There are also a large concentration of scattered lymphocytes and plasma cells in the lamina propria. 70-90% of B cells in the lamina propria secretes IgA, remainder largely making IgM, and few cells making IgE. Another important component of the Peyer's patch is the M cell, which replaces normal enterocytes as an epithelial covering for the lymphoid follicle. It is important in initial uptake of luminal particulates, and dendritic cells and macrophages, which serve to process and present antigens to the T and B cells. Ref: Understanding Medical Physiology: A Textbook for Medical Students By R. L. Bijlani, page 354, Gastrointestinal Physiology by Kim E. Barrett chapter 6.